Instrument having Shank with alternating cutting edges
1. Real world endo
2. Endotech endo. instrument
3. RACE
4. K-6

Correct answer: 3. RACE